Direction of water jet while doing syringing of ear should be:
1. Anteroinferior
2. Posterosuperior
3. Anterosuperior
4. Posteroinferior

Correct answer: 2. Posterosuperior

Explanation: In syringing (done to remove impacted wax) pinna is pulled upwards and backwards and a stream of water from the ear syringe is directed along the posterosuperior wall of the meatus.